Tumor associated with extracranial spread
1. Ependymoma
2. Medulloblastoma
3. Glioblastoma multiformae
4. Choroid plexus papilloma

Correct answer: 2. Medulloblastoma

Explanation: B i.e. Medulloblastoma